Initial best sealing of margins is done best by:
1. GIC
2. Acid etched composite
3. Amalgam
4. Polycarboxylate

Correct answer: 2. Acid etched composite